Which of the following is associated with poor prognosis in acute pancreatitis :a) Hypocalcaemiab) Hypercalcemiac) Hypernatremiad) Hyperglycaemia
1. b
2. ad
3. ac
4. ab

Correct answer: 2. ad